A boy presents with diplopia and restriction of eye movements following blunt trauma to his eye. X- ray reveals blow out fracture of orbit. Which part of orbit is most likely damaged -
1. Superior wall
2. Inferior wall
3. Lateral wall
4. Medial wall

Correct answer: 2. Inferior wall

Explanation: Blow out fracture mainly involve orbital floor (inferior wall) & medial wall.